Smoke stake pattern is characteristic of?
1. Sickle cell retinopathy
2. Sarcoidosis
3. Acute retinal necrosis
4. Central serous retinopathy

Correct answer: 4. Central serous retinopathy

Explanation: Ans. is 'd' i.e., Central serous retinopathy * Smoke stack pattern (small hyper fluorescent spot which ascends vertically like a smoke-stack), which gradually spreads laterally to take a mushroom or umbrella configuration, is a Fundus Fluorescein Angiography (FFA) finding of Central Serous Retinopathy.* Another important FFA finding of CSR is Ink-blot or enlarging dot pattern (small hyperfluorescent spot which gradually increases in size.* Among these the most common FFA finding is ink-blot pattern.